The protein synthesis site of the cell body of neurons
1. Nissl bodies
2. Dendrites
3. Axon
4. All

Correct answer: 1. Nissl bodies

Explanation: The nissl bodies are the protein synthesis site in a neuron They are equivalent to rough endoplasmic reticulum Ref:Guyton and Hall textbook of medical physiology 12th edition ,page number 676